Gold standard method of diagnosing celiac disease is
1. Small bowel biopsy
2. Anti-endomysial antibodies
3. Blood picture
4. Biochemical test

Correct answer: 1. Small bowel biopsy

Explanation: Best screening test: Anti TTG antibody Confirmatory / Gold standard: Small Bowel biopsy